The assessment and differentiation of entry wound and exit wound is difficult during postmortem examination of a case of death due to bullet injury due to surgical alterations. This phenomenon is known as -
1. McNaughten phenomenon
2. Ricochet phenomenon
3. Kennedy phenomenon
4. Alec Jeffrey phenomenon

Correct answer: 3. Kennedy phenomenon

Explanation: It is called Kennedy phenomenon after J.F. Kennedy . This phenomenon is a surgical intervention of fire arm wound resulting in an artifact and hence making the wound difficult to interpret during autopsy as happened in the case of 35th president of the US, John.F.Kennedy's assassination in 1963. Ref: NCBI.org